Which of the following is not included as a Measure of dispersion?
1. Range
2. Relative deviate
3. Standard deviation
4. Median

Correct answer: 4. Median

Explanation: Dispersion:- Spread of / scattering of values around a central value in a data distribution is called dispersion. Measures of dispersion:- Major methods: Range, mean/ average deviation, standard deviation. Other methods: Coefficient of variation, precision, Variance, Relative deviate, Inter - quartile range. - Median is not included in measure of dispersion.